Acute Infective Endocarditis with abscess formation is most commonly associated with
1. Listeria
2. Staphylococcus
3. Streptococcus
4. Enterococcus

Correct answer: 2. Staphylococcus

Explanation: Answer is B (Staphylococcus) Acute Infective Endocarditis with abscess formation is most commonly associated with staphylococcus. `The most common organism causing acute infective endocarditis overall is staphylococcus aureus. Staphylococcus aureus endocarditis is particularly virulent and associated with annular and myocardial abscess formation and a higher mortality'